If the extension of a cavity from a primary groove towards the cusp tip is more than 2/3 then:
1. No cusp capping.
2. Consider capping.
3. Cusp capping mandatory.
4. None

Correct answer: 3. Cusp capping mandatory.

Explanation: If the extension of a cavity from a primary groove towards the cusp tip is